Calcareous degeneration occurs most commonly in which type of fibroids :
1. Submucous
2. Subserous
3. Interstitial
4. Cervical

Correct answer: 2. Subserous

Explanation: Ans. is b i.e. Subserous Ref. Dutta Gynae 4/e, p 256 Calcareous degeneration usually involves the subserous fibroids with small peduncle or myomas of postmenopausal women. It is usually preceded by fatty degeneration. There is precipitate of calcium carbonate or calcium phosphate within the tumour, when whole of the tumour is converted into a calcified mass it is termed as 'womb stone'. Also Know : Most common type of fibroid * Interstitial (Intramural) To start with all fibroids are * Interstitial (Intramural) Most common fibroid to undergo malignant change * Interstitial (Intramural ) Most common fibroid to cause Retention of urine * Anterior cervical fibroid & central cervical fibroid Torsion is most common in * Large pedunculated subserous fibroid Fibroid causing pseudo Meig's syndrome * Subserous fibroid Most common symptom of fibroid * Menorrhagia Inversion is seen in * Fundal fibroid M/C symptom of fundal fibroid * Menorrhagia Fibroid with maximum symptoms * Submucous fibroid. Wandering or parasitic fibroid * Subserous fibroid. Lantern on dome of St. Paul * Cervical fibroid. Pseudo cervical fibroid * Fibroid polyp. Most common fibroid to undergo calcerous degeneration * Subserous fibroid